False about Listeria is
1. Shows tumbling motility
2. Catalase positive
3. PLET medium is selective medium
4. Anton test +ve

Correct answer: 3. PLET medium is selective medium

Explanation: PALCAM medium - Selective medium.